All of the following are anticoagulant ,except
1. Phytonadione
2. Warfarin
3. LMW heparin
4. Lepirudin

Correct answer: 1. Phytonadione

Explanation: Phytonadione is Vit K. All others are anti coagulants. From essential of medical pharmacology K D Tripati 7th edition Page no 613